Which of the following is true about Libman sacks endocarditis -
1. It is along the line of closure
2. On either side of valve
3. It is friable
4. Organism are seen

Correct answer: 2. On either side of valve